Hypocalcemia in immediate post-op period following excision of parathyroid adenoma is due to
1. Stress
2. Hypercalciuria
3. Increased calcitonin
4. Increased uptake by bones

Correct answer: 4. Increased uptake by bones

Explanation: Hypocalcemia in immediate post-op period following excision of parathyroid adenoma is due to increased uptake by bones. It is known as Hungry Bone Syndrome